Osborn J waves are seen in:-
1. Hypothermia
2. Hyperkalemia
3. Hypocalcemia
4. Hypokalemia

Correct answer: 1. Hypothermia

Explanation: Osborn J waves are seen in Hypothermia.